Which is the most common type of Renal cell Carcinoma
1. Chromophilic RCC
2. Chromophobe RCC
3. Clear cell RCC
4. Bellini duct carcinoma

Correct answer: 3. Clear cell RCC

Explanation: Clear cell RCC constitute upto 80% cases of RCC.